Probing and irrigation is not done in
1. Lacrimal fistula
2. Acute dacryocystitis
3. Congenital dacryocystitis
4. Trauma to eye

Correct answer: 2. Acute dacryocystitis

Explanation: (Refer: AK Khurana Comprehensive Ophthalmology, 6th edition, pg no. 392 - 395)Contraindications to probing and irrigation The main contraindications are acute dacryocystitis and acute canaliculitisIn the setting of active infection, probing and irrigation is more likely to cause trauma because the lacrimal sac wall is inflamed and friable; it also can cause unnecessary pain and anxiety for the patient Treatment with oral antibiotics (eg, amoxicillin-clavulanate) is appropriate. Cultures of the lacrimal fluid may be helpful. The presence of a lacrimal sac mucocele in adults mandates treatment even if asymptomatic. The treatment of choice is a dacryocystorhinostomy whether the patient is symptomatic or not